Scanty, foul-smelling, painless discharge from the ear is characteristic feature of which of the following lesion?
1. ASOM
2. Cholesteatoma
3. Central Perforation
4. Otitis externa

Correct answer: 2. Cholesteatoma

Explanation: Scanty, foul-smelling, turbulent, painless discharge from the ear is the characteristic feature of cholesteatoma. Ref: Textbook of diseases of ENT, PL Dhingra, 7th edition, pg no. 75